Abciximab is
1. Antithrombin III inhibitor
2. Gp IIb/IIIa antibody
3. Alanine analogue
4. P2YAC Purine receptor antagonist

Correct answer: 2. Gp IIb/IIIa antibody

Explanation: Ans. b (Gp IIb/IIIa antibody) (Ref. KDT 6th/ Table 112-1)- Abciximab is antiplatelet drug which is Gp Ilb/IIIa antagonist.GPIIb/ IIIa AntagonistsFeatureAbciximabEptifibatideTirofibanDescriptionFab fragment of humanized mouse monoclonal antibodyCyclical KGD-containing heptapeptideNonpeptidic RGD mimeticSpecific for GPIIb/IIIaNoYesYesPlasma half-lifeShort (min)Long (2.5 h)Long (2.0 h)Platelet-bound half-lifeLong (days)Short (sec)Short (sec)Renal clearanceNoYesYes- Other Antithrombotic Drugs are: ANTITHROMBOTIC DRUGS: | ||||Antiplatelet drugsAnticoagulantsDirect thrombin inhibitorsFibrinolytics*Aspirin/*Heparin*Argatroban*Streptokinase*Thienopyridines*LMWH*Lepirudin* Anistreplase(clopidogrel&ticlopidine),*Fondaparinux,*Bivalirudin* rt-PA (alteplase)*Dipyridimole, and*Warfarin * Tenecteplase*GPIIb/llla antagonists.(warfarin is only available oral anticoag)* Reteplase*Desmoteplase* AlfimepraseLMWH and Fondaparinux, ComparisonFeaturesLMWHFondaparinuxNumber of saccharide units15-175Catalysis of factor Xa inhibitionYesYesCatalysis of thrombin inhibitionYesNoBioavailability after subcutaneous administration (%)90100Plasma half-life (h)417Renal excretionYesYesInduces release of tissue factor pathway inhibitorYesNoNeutralized by protamine sulfatePartiallyNoHirudin, Bivalirudinand Argatroban, Comparison. HirudinBivalirudinArgatrobanMolecular mass70001980527Interaction Site with thrombinActive site and exosite 1Active site and exosite 1Active siteRenal clearanceYesNoNoHepatic metabolismNoNoYesPlasma half-life (min)602545